Which of the following is the range of hemoglobin O2 saturation from systemic venous to systemic arterial blood represents a normal resting condition?
1. 25 to 75%
2. 40 to 75%
3. 40 to 95%
4. 75 to 98%

Correct answer: 4. 75 to 98%

Explanation: In a normal resting condition, the blood leaving the lungs is 98% saturated with oxygen, and the blood returning to the lungs is 75% saturated with oxygen. With vigorous exercise, blood leaving the lungs is still 98% saturated, but blood returning is usually less than 75% saturated because more oxygen is unloaded from hemoglobin in exercising muscles.